High incidence of oral malignancies is attributed to
1. Use of pan
2. Poor hygiene
3. High incidence of HPV
4. Poor nutrition

Correct answer: 1. Use of pan

Explanation: In the Indian subcontinent, the use of 'pan' (a combination of betel nut, areca nut, lime and tobacco), as well as reverse smoking (smoking a cheroot with the burning end inside the mouth), are responsible for the high incidence of oral cancer. Betel quid appears to be the major carcinogen, although there is also a relationship between slaked lime and the areca nut and cancer.Ref: Bailey and love pg: 760